Fluid content of the blood is:
1. Plasma
2. Serum
3. Water
4. Tissue fluid

Correct answer: 1. Plasma